Most common site of glioblastoma multiforme is
1. CP angle
2. Frontal lobe
3. Brain stem
4. Occipital lobe

Correct answer: 2. Frontal lobe

Explanation: Most common site of glioblastoma multifonne is temporal & frontal lobe and basal ganglia.
It frequently crosses midline.